Pseudopolyps are typically seen in
1. Crohn's disease
2. Ulcerative colitis
3. Celiac disease
4. Tropical sprue

Correct answer: 2. Ulcerative colitis

Explanation: Ans. is 'b' i.e., Ulcerative colitis Pseudopolyps are typically seen in Ulcerative colitis. The involved mucosa in ulcerative colitis shows broad based ulcers are aligned along the long axis of the colon. Isolated